Which of the following is true about Rashtriya Swasthya Bima Yojana?
1. Applies to BPL families only
2. Rupees 30,000 per family member
3. Both inpatient and outpatient charges included
4. Patient pays first then it is reimbursed by government

Correct answer: 1. Applies to BPL families only

Explanation: Ans. a. Applies to BPL only (Ref: style="font-size: 1.04761904761905em; font-family: Times New Roman, Times, serif; margin: 0 0 0 8px; text-indent: 0">Rashtriya Swasthya Bima Yojana provide health insurance coverage for Below Poverty Line (BPL) families.Beneficiaries under RSBY are entitled to hospitalization coverage up to Rs. 30,000 per family per year for hospitalization in public and private hospitalsBeneficiaries need to pay only Rs. 30/- as registration fee while Central and State Government pays the premium to the insurer selected by the State Government on the basis of a competitive bidding.The key feature of RSBY is that a beneficiary who has been enrolled in a particular district will be able to use his/ her smart card in any RSBY empanelled hospital across India.Rashtriya Swasthya Bima Yojana (RSBY) is a government- run health insurance scheme for the Indian poor. It provides for cashless insurance for hospitalization in public as well as private hospitals."Rashtriya Swasthya Bima Yojana provide health insurance coverage for Below Poverty Line (BPL) families. Objective is to provide protection to BPL households from financial liabilities arising out of health shocks that involve hospitalization. "Rashtriya Swasthya Bima YojanaAlso known as National Health Insurance Scheme (NHIS)Rashtriya Swasthya Bima Yojana or RSBY started rolling from 1st April 2008.Government sponsored scheme for the BPL population of IndiaQRs. 600 (75%) by Central governmentQRs. 200 (25%) by State governmentQGovernment of India contribution is 90% in case of North-eastern states & Jammu and KashmirLaunched by Ministry of Labour and Employment, Government of India.Provide health insurance coverage for Below Poverty Line (BPL) familiesQ.Objective:To provide protection to BPL households from financial liabilities arising out of health shocks that involves hospitalizationQ.Beneficiaries:Beneficiaries under RSBY are entitled to hospitalization coverage up to Rs. 30,000 per family per year for hospitalization in public and private hospitalsCover in case of death of a family member: Rs. 25,000/-QPre-existing conditions are covered from day one and there is no age limit.Coverage extends to five members of the family, which includes the head of household, spouse and up to three dependentsQ.Beneficiaries need to pay only Rs. 30/- as registration fee while Central and State Government pays the premium to the insurer selected by the State Government on the basis of a competitive bidding.